Lymphatic drainage of clitoris is to -a) Gland of Cloquetb) Superficial inguinal lymph nodesc) Deep inguinal lymph nodesd) Para-aortic nodes
1. ac
2. bc
3. ad
4. b

Correct answer: 1. ac

Explanation: Deep inguinal lymph nodes are also known as Glands of Cloquet. Clitoris drain into deep inguinal nodes.